Drug of choice for myasthenia gravis -
1. Gallamine
2. Succinylocholine
3. D. tubocurare
4. Pyridostigmine.

Correct answer: 4. Pyridostigmine.